Unsatisfactory colposcopy refes to failure to visualize
1. Fallopian tubes
2. Transformation zone
3. Ectocervix
4. Fornices

Correct answer: 2. Transformation zone

Explanation: ANSWER: (B) Unable to visualize transformation zoneREF: William's gynecology 22nd edition page 1252 Satisfactory or Unsatisfactory Colposcopy:* Within a neoplastic lesion, more severe disease tends to be at the proximal limit of the transformation zone. Thus, adequate visualization of the entire cervical squamocolumnarjunction and upper limits of all lesions defines whether a colposcopic examination is termed satisfactory or unsatisfactory. This determination can affect management. Therefore, with initially unsatisfactory colposcopy, an endocervical speculum may be used to dilate and fully visualize lesions that have extended cephalad into the endocervical canal